Opsomyoclonus is encountered as C/F of –
1. Meningioma
2. Neuroblastoma
3. Neurofibromatosis
4. Excision

Correct answer: 2. Neuroblastoma

Explanation: Neuroblastoma can present as paraneoplastic syndrome of autoimmune origin manifesting as ataxia or oposmyoclonus (Dancing eyes and dancing feat).
In such cases primary tumor is in the chest or abdomen and the brain is negative for tumor.
Some tumor produce catecholamines that can cause sweating and HTN and some release vasoactive intestinal peptide (VIP) causing secretary diarrhea.